A 48-year-old man undergoes surgery for a chronic duodenal ulcer. The procedure is a truncal vagotomy and which of the following?
1. Gastroenterostomy
2. Removal of the duodenum
3. Closure of the esophageal hiatus
4. Incidental appendectomy

Correct answer: 1. Gastroenterostomy

Explanation: In 1948, Dragstedt introduced a gastric drainage procedure to overcome stasis that occurred in over 30-40% of cases following vagotomy. Pyloroplasty, gastrojejunostomy, and antrectomy are the three recognized drainage procedures performed in conjunction with vagotomy. The decision on which one to perform is based on the overall condition of the patient and the severity of the ulcer, amongst other things. A drainage procedure is not necessary with a highly selective vagotomy because the innervation to the pylorus is left intact.